Drug that may induce nail pigmentation - melanonychia:
1. Retinoids
2. Carbamazepine
3. Tetracyclines
4. Zidovudine

Correct answer: 4. Zidovudine

Explanation: Anthracyclines, taxanes, fluorouracil, psoralens, and zidovudine may induce nail pigmentation through melanocyte stimulation in nail matrix resulting in melanonychia. It appears to be reversible and dose-dependent and appears 3-8 weeks after drug intake.